All of the following hormones affect the intrauterine growth of the foetus, EXCEPT:
1. Growth hormone
2. Insulin
3. Thyroxine
4. Glucocorticoids

Correct answer: 1. Growth hormone

Explanation: Human fetus secrets thyroxine from the 12 week of gestation onward. Thyroxine and insulin have an important role in regulation of tissue accretion and differentiation in the fetus. Both are required for normal growth and development particularly late in gestation. Glucocorticoids also play an important role, primarily towards the end of gestation. They influence the prepaum maturational events of organ such as liver, lungs and gastrointestinal tract, in preparation for extrauterine survival. Growth hormone though present in high levels in fetus is not known to influence fetal growth. Ref: O.P. Ghai 7/e, Page 1